The treatment of choice in nodulocystic acne is
1. Systemic steroids
2. Isotretinoin
3. Benzoyl peroxide
4. Oestrogens

Correct answer: 2. Isotretinoin

Explanation: *A nodulocystic acne is a severe form of acne affecting the face, chest and back. Nodulocystic acne is a severe form of acne affecting the face, chest and back. It is characterised by multiple inflamed and uninflamed nodules and frequently, scars. It is more common in males. The name implies there are nodules (firm lumps) and cysts (fluid-filled cavities lined by epithelium) It is more common in males. *The recommended treatment for nodulocystic acne is isotretinoin, which should be commenced early to prevent scarring.The recommended treatment for nodulocystic acne are retinoids which are vitamin A derivatives. The treatment is required for at least five months, and further courses are sometimes necessary. Most important side effect-- teratogenicity Most common side effect is skin rash. Ref Harrison 20thedition pg 1256